All are associated with pheochromocytoma except
1. MEN II a
2. MEN II b
3. Von Hippel Lindau syndrome
4. Weber syndrome

Correct answer: 4. Weber syndrome

Explanation: Ans-DNote-Weber's syndrome (superior alternating hemiplegia) is a form of stroke characterized by the presence of an ipsilateral oculomotor nerve palsy and contralateral hemiparesis or hemiplegia.